Equitable distribution, community participation,
intersectional coordination and appropriate technology are the principles of
1. Primary health care
2. Social science
3. Primary prevention
4. Epidemiology

Correct answer: 1. Primary health care